Which of following statements about extrapyramidal effects of antipsychotic drugs is FALSE ?
1. Caused by blockade of dopamine receptors
2. Less likely to be produced by clozapine than by chlorpromazine
3. Can be countered to some degree by antimuscarinic drugs
4. Haloperidol does not cause extrapyramidal syndrome

Correct answer: 4. Haloperidol does not cause extrapyramidal syndrome